Not a feature at birth:
1. Anteroposterior diameter is 17 mm
2. Corneal diameter is lesser
3. Myelination of nerve fibres is till lamina cribrosa
4. Lens is biconcave in shape

Correct answer: 4. Lens is biconcave in shape

Explanation: AP diameter 17 mm Corneal diameter 10 mm Lens Lens is spherical in shape Infantile Nucleus present Optic Nerve - Upto Lamina cribrosa myelination